Conditions associated with thymoma are all except?
1. Myasthenia gravis
2. Cushing's syndrome
3. SIADH
4. Hypogammaglobulinemia

Correct answer: 3. SIADH

Explanation: SIADH ( Syndrome of Inappropriate ADH secretion) is not seen associated with thymomas. Ref :Harrison's Principles of Internal Medicine 21st ed